Despite its "age," penicillin G remains the drug of choice in the treatment of infections caused by
1. B. fragilis
2. T. pallidum
3. H. influenzae
4. E. coli

Correct answer: 2. T. pallidum

Explanation: Indications for the use of penicillin G are currently limited for a number of reasons. The drug has a narrow spectrum, is susceptible to beta-lactamases, and may cause hypersensitivity, and alternative antibiotics are available. However, penicillin G remains the drug of choice in syphilis, usually given IM as benzathine penicillin G, but as the Na or K salt IV in neurosyphilis. What would you do for patients who are highly allergic to penicillins? (Consider tetracyclines, or possibly desensitization.)